Fetal Respiratory movements occur earliest at :
1. 12 wks
2. 16 wks
3. 20 wks
4. 11 wks

Correct answer: 4. 11 wks

Explanation: 11 wks